Osteoporosis circumscripta is seen with?
1. Fibrous dysplasia
2. Chronic Phenytoin Therapy
3. Cushings syndrome
4. Pagets Disease

Correct answer: 4. Pagets Disease

Explanation: Osteoporosis Circumscripta is focal thinning of bone seen in cases of pagets disease. Fibrous dysplasia shows focal thickening of bone and ground glass appearance. Chronic phenytoin therapy can cause generalized thickening of bone. Cushings syndrome can cause generalized thinning of bone.